Mr X is a 70-year-old male who presents with a one-year history of progressive ataxia, urinary incontinence and memory loss. He is otherwise asymptomatic. He has no significant past medical history and is not on any medication. What is the most likely diagnosis?
1. Normal pressure hydrocephalus
2. Cerebellar astrocytoma
3. Lewy body dementia
4. Multiple sclerosis

Correct answer: 1. Normal pressure hydrocephalus

Explanation: Normal pressure hydrocephalus: TRIAD: Progressive ataxia, urinary incontinence and memory loss (Dementia) INCREASED production of CSF at night time so ventricles get dilated along with the neighboring structures. In order to counter attack the pressure, the ventricular system gets dilated but this dilation might push the grey matter against the calverium (skull) l/t cortical dementia in the patient. Cerebellum also affected d/t pressure l/t ataxia. Paracentral lobule in frontal lobe where the bladder control is present so urinary incontinence/stool incontinence